Anterior ethmoidal artery arises from:
1. Maxillary artery
2. Mandibular artery
3. Superficial temporal artery
4. Ophthalmic artery

Correct answer: 4. Ophthalmic artery

Explanation: Anterior and posterior ethmoidal arteries are branches of ophthalmic artery which is a branch of Internal carotid artery.